Stability of the toxoid in snake's venom is due to
1. Disulfide bonds
2. Hydrogen bonds
3. Ionic bonds
4. Van der wall's bond

Correct answer: 1. Disulfide bonds